The technique employed in radiotherapy to counteract the effect of tumour motion due to breathing is known as –
1. Arc technique
2. Modulation
3. Gating
4. Shunting

Correct answer: 3. Gating

Explanation: Respiratory gating is one of the latest techniques in radiation therapy and involves matching radiation treatment to a patient own respiratory pattern.